Wind swept deformity is seen in?
1. Scurvy
2. Rickets
3. Achondroplasia
4. Osteoporosis

Correct answer: 2. Rickets

Explanation: Ans. is 'b' i.e., Rickets Windswept deformity o A valgus deformity of one in association of varus deformity of other knee is known as windswept deformity. Causes of windswept deformity o Rickets o Physeal osteochondromatosis o Hereditary dysplasia (epiphyseal dysplasia) of bone.